Which of the following anticholinesterase is derived from a natural source?
1. Physostigmine
2. Neostigmine
3. Pyridostigmine
4. Tacrine

Correct answer: 1. Physostigmine

Explanation: Ref: KD Tripathi pharmacology 7th edition (page.no: 108) Physostigmine is a Natural alkaloid from Physostigma venenosum (Calabar bean) and All others are synthetic Physostigmine is a highly toxic parasympathomimetic alkaloid, specifically, a reversible cholinesterase inhibitor